Which of these is the most common cause of a posterior mediastinum mass in children?
1. Rhabdomyoma
2. Duplicated cyst of the esophagus
3. Thymoma
4. Neuroblastoma

Correct answer: 4. Neuroblastoma

Explanation: Ans. D. NeuroblastomaSeveral causes of posterior mediastinum mass in children are known; including neurogenic tumors (most common cause), foregut cyst, germ cell tumors, lymphangiomas and lymphomas. Since the most common neurogenic tumor in children is neuroblastoma, it should be the correct answer.